Organism associated with fish consumption and also causes carcinoma gallbladder:
1. Gnathostoma
2. Anglostrongyloidosis cantonensis
3. Clonorchis sinensis
4. H. dimunata

Correct answer: 3. Clonorchis sinensis

Explanation: • Clonorchis sinensis is a liver fluke, acquired by ingestion of raw or inadequately cooked freshwater fishes.
• In human body, it lives within bile ducts and causes inflammatory reaction leading to cholangiohepatitis and biliary obstruction.
• It is a well known risk factor for cholangiocarcinoma.
• It is a rare, but mentioned risk factor for carcinoma gallbladder.